Which does not take part in formation of right subclavian artery -
1. 2nd arch artery
2. 4th arch arterv
3. 7th arch artery
4. All three take part

Correct answer: 1. 2nd arch artery

Explanation: Ans. is 'a' i.e., 2nd arch arteryDevelopment of major arteriesBlood vesselDevelopment componentsAscending aortaTruncus arteriosusArch of aorta1. Left horn of aortic sac2. Left 4th arch artery3. Left dorsal aortaDescending aorta1. Left dorsal aorta beyond 7th cervical intersegmental artery2. Fused dorsal aortaeBrachiocephalic arteryRight horn of aortic sac in which right 3rd and 4th arch arteries are openingCommon carotid3rd arch artery distal to external carotid budInternal carotid artery3rd arch artery distal to external carotid bud and dorsal aorta cranial to attachment of 3rd arch arteryExternal carotid arteryNew sprout (bud) from 3rd arch arterySubclavian artery RightLeft1. Right 4th arch artery2. Right 7th cervical intersegmental arteryLeft 7th cervical intersegmental arteryPulmonary trunkPulmonary arteryDuctus arteriosusTruncus arteriosus6th arch artery (proximal part)Distal part of left 6th arch artery between pulmonary artery and desending aorta